Calcium channel blockers are useful in all, EXCEPT:
1. Angina
2. Supraventricular arrhythmia
3. Sick sinus syndrome
4. Hypertension

Correct answer: 3. Sick sinus syndrome